Beefy red and painful tongue is characteristic of
1. Vitamin A deficiency
2. Any periodontal disease
3. Acute nicotinic acid deficiency
4. Ascorbic acid deficiency

Correct answer: 3. Acute nicotinic acid deficiency